Commonest sites of intraabdominal abscess :
1. Subphrenic
2. Paracolic
3. Pelvis
4. Retroperitoneal

Correct answer: 3. Pelvis

Explanation: The pelvis is the commonest site of intrabdominal abscess because of 2 reasons

because the vermiform appendix is often pelvic in position.
because the fallopian tubes are frequent sites of infection.